Which of the following responses in an infant is corresponding to verbal response of "speaking inappropriate words" in adults?
1. Moans to pain
2. Cries, irritable
3. Cries to pain
4. None of the above

Correct answer: 3. Cries to pain

Explanation: "Cries to pain" in an infant is corresponding to verbal response of "speaking inappropriate words" in adults. Adult Infant Score Eye Opening Spontaneous Spontaneous 4 To speech To speech 3 To pain To pain 2 No response No response 1 Verbal response Oriented Coos, babbles, fixes, follows 5 Confused Irritable, cries but consolable 4 Inappropriate words Cries to pain, inconsolable 3 Incomprehensible sounds Moans to pain 2 No response No response 1 Motor response Obeys Moves spontaneously 6 Localizes Withdraws to touch 5 Withdraws Withdraws to pain 4 Decorticate to pain Decorticate to pain 3 Decerebrate to pain Decerebrate to pain 2 No response No response 1